The superior border of lingual bar should lie
1. Deep in the lingual sulcus
2. At least 4 mm below the gingival margin
3. At the cingutum of anterior teeth
4. At least 7 mm below the gingival margin

Correct answer: 2. At least 4 mm below the gingival margin